Lice is not the vector for which of the following infection?
1. Q fever
2. Relapsing fever
3. Epidemic typhus
4. Trench fever

Correct answer: 1. Q fever

Explanation: Among the above given options, Q fever is not transmitted by lice. Q fever is transmitted by soft ticks and is caused by Coxiella burnetii. The other diseases transmitted by soft ticks are Relapsing fever and Kyasanur Forest disease (KFD). The tick infects the host by biting. Ref: Park's Textbook of Preventive and Social Medicine, 19th Edition; Pages 631 - 632; 622.